Treatment for pagets disease of breast is
1. Simple mastectomy
2. Radical mastectomy
3. Microdochectomy
4. Hadfeilds operation

Correct answer: 1. Simple mastectomy

Explanation: Simple mastectomy along with lymph node assessment is usually treatment of choice.